A women has 0.5 probability of having a baby with birth weight >= 3000 grams & 0.2 probability of having a baby with birth weight 2500-2999 grams. What is the probability that this women will have a baby with birth weight > 2.5 kilograms?
1. 0.6
2. 0.7
3. 0.1
4. 1

Correct answer: 2. 0.7

Explanation: Probability is a chance that an event will occur and it lies b/w 0 to 1 (0-100%). For mutually exclusive events , probability is calculated by rule of addition P=P+P. For independent events, joint probability is calculated by rule of multiplication P=PxP. Given, probability of having a baby with birth weight >= 3000 grams; P= 0.5 probability of having a baby with birth weight 2500-2999 grams; P = 0.2 As these two events are mutually exclusive, probability of having a baby with Bw >2.5 kg; P is calculated by Rule of addition = 0.5+0.2 = 0.7